In sickle cell anaemia, the mutational event responsible for the mutation for beta chain is -
1. Crossing over
2. Point mutation
3. Insertion
4. Deletion

Correct answer: 2. Point mutation

Explanation: In sickle cell disease there is single nucleotide change in the B globin gene leading to substitution of valine for glutamate at position 6 of the B globin chain, this is point mutation. Ref:Postgraduate Hematology by Victor Hoffbrand pg :109